Phagocytosis is the function of-
1. Astrocytes
2. Oligodendrocytes
3. Microglia
4. Schawan cells

Correct answer: 3. Microglia

Explanation: Ans is 'c' i.e., Microglia o Micro-organisms entering the tissue fluid or blood stream are very rapidly engulfed by the cells called phagocytes,o Phagocytic cells are of two types :o Basophils also belong to polymorphonuclear microphages but they are not phagocytes.o Eosinophils have only a limited degree of phagocytic activity.